All are true regarding Hodgkin's lymphoma, except :
1. CNS is the commonest site of involvement
2. Characteristic cell is a Reed Sternberg cell
3. Mediastinal involvement is common in nodular--sclerosis type.
4. Eosinophils, plasma cells and neutrophils increase

Correct answer: 1. CNS is the commonest site of involvement

Explanation: Answer is A (CNS is the commonest site of involvement) CNS involvement is an uncommon feature of Hodgkins. disease CNS involvement is an uncommon feature with Hodgkins disease: This may occur as : Sudden spinal cord compression in advanced progressive disease. Headache and visual disturbance in very rare patients with intra-cranial Hodgkins disease. Reed stern berg cell is the characteristic cell in Hodgkins, and the diagnosis of Hodgkins Lymphoma is still based entirely upon histological examination & the finding of classic Reed-Sternberg cell or one of its variants is considered essential for diagnosis. Plasms cells, Eosinophils and Neutrophils are seen in the reactive background Histology in Hodgkins shows distinctive Reed Sternberg cells (few) that are admixed with variable number of Lymphocytes, plasma cells, histocytes, eosinophills neutrophils and fibroblasts. Mediastinal involvement is particularly common with nodular sclerosis variant Certain Distincitive Features Seen In Nodular Sclerosis Variant it is the most common variant. Q it is the only variant more common in females. Q mediastinal involvement is particularly common. Q large Reed Sternberg cell variants - 'Lacunar cells' Q -are present on histology. it has a good prognosis Q {2nd best, following Lymphocyte predominance (best)}